Following is given in case of pernicious anaemia?
1. Folic acid
2. Folinic acid
3. Methyl cobalamin
4. Erythropoietin

Correct answer: 3. Methyl cobalamin

Explanation: Ans. C. MethylcobalamineMegaloblastic anaemia is caused due to deficiency of vitamin B-12. it causes degeneration of spinal cord. Methylcobalamine is given (i/m or s/c) for correcting neurological abnormalities.